In osteoporosis, bone formation is increased by which drug-
1. Bisphosphonates
2. Estrogen
3. Calcitonin
4. Teriparatide

Correct answer: 4. Teriparatide

Explanation: Ans. is 'd' i.e., TeriparatideDrug used in osteoporosisInhibit resorption Bisphosphonates, donesumab, cinacalcet, calcitonin, estrogen, SERMS, gallium nitrate.Stimulate formation .-Teriparatide, calcium, calcitriol, fluorides.Both actions:- Strontium renelate.